A patient with history of recurrent posterior dislocation of humerus is evaluated for a 'Hill-Sach's lesion. Which aspect of the head of humerus is likely to show this lesion in the above patient?
1. Anteromedial
2. Anterior
3. Posterolateral
4. Posterior

Correct answer: 1. Anteromedial

Explanation: A i.e. Anteromedial